Which of the following is NOT an amide -
1. Lignocaine
2. Procaine
3. Mepivacaine
4. Dibucaine

Correct answer: 2. Procaine

Explanation: Ans. is 'b' i.e., Procaine Local Anaesthetics|||AmidesEstersLidocaineBupivacaineDibucaine (cinchocain)PrilocaineRopivacaineCocaineProcaineChloroprocaineTetracaine (Amethocain)BenzocaineAdvantages of amides over esters:o Produces more intense and longer lasting anaesthesiao Cause less hypersensitivity reactionso Produce longer lasting anaesthesia as they are not hydrolysed by esterasesRemembero Amide LAs bind to a1 acid glycoprotein, while ester LAs do not bind to plasma protein.o Ester LAs can antagonize the action of sulfonamide due to PABA residue.